Bernard-Soulier syndrome is caused by the deficiency of
1. Glycoprotein complex Ib-IX
2. Glycoprotein complex IIb-IIIa
3. Glycoprotein complex Ib-IIIa
4. Glycoprotein complex IIb-IX

Correct answer: 1. Glycoprotein complex Ib-IX

Explanation: Bernard-Soulier syndrome is caused by an inherited deficiency of the platelet membrane glycoprotein complex Ib-IX. This glycoprotein is a receptor for vWF and is essential for normal platelet adhesion to the subendothelial extracellular matrix. Affected patients have a variable, often severe, bleeding tendency.Ref: Robbins and Cotran Pathologic Basis of Disease; 9th edition; Chapter 14; Red Blood Cell and Bleeding Disorders; Page no: 660